Which of the following is spread by aedes mosquitoes:
1. Loa Loa
2. Malaria
3. Dengue
4. Japanese encephalitis

Correct answer: 3. Dengue

Explanation: Ans. C: Dengue Aedes mosquito spread the following disease: Chikungunya fever Yellow fever (Not in India) Dengue fever Dengue hemorrhagic fever Filaria (Not in India) Rift valley fever Japanese encephalitis is caused by culex mosquito.